Anti - T.T.G. antibodies are seen in:
1. Giardia malabsorption
2. Gluten enteropathy
3. Lactose deficient
4. Bile acid malabsorption

Correct answer: 2. Gluten enteropathy

Explanation: Anti-endomysial antibodies of the immunoglobulin A (IgA) type can detect celiac disease with a sensitivity and specificity of 90% and 99%, respectively. Serology for anti-T.T.G antibodies was initially reported to have a higher sensitivity (99%) and specificity (>90%) for identifying coeliac disease. However, it is now thought to have similar characteristics to anti-endomysial antibody. Modern anti-TTG assays rely on a human recombinant protein as an antigen. TTG testing should be done first as it is an easier test to perform